Intrauterine insemination means placement of:
1. Semen
2. Washed Semen
3. Million of Sperms
4. Fertilized Ova

Correct answer: 2. Washed Semen

Explanation: Intrauterine insemination (IUI) : This procedure involves the placement of about 0.3-0.5 ml of washed, processed and concentrated sperm into the intrauterine cavity by means of fleixible polyethylene transcervical catheter around the time of ovulation. The Processed sperm count for insemination should be atleast 1million. For the best results sperm count should exceeds 10million. Common methods to extract spem from seminal plasma are: 1.Washing 2.Swim-up(BETTER METHOD) 3.Density gradient centrifugation. Sheila BalaKrishnan Text book of Gynaecology page no 135, Novak's Textbook of Gynaecology 15th edition page no 1145